First enzyme to be raised in MI is ?
1. CPK-MB
2. LDH
3. Myoglobin
4. Troponin-I

Correct answer: 3. Myoglobin

Explanation: Ans. is 'c' i.e., Myoglobin